Rickettsia tsutsugamushi is a small gram-negative, obligate intracellular organism causing
1. Epidemic typhus
2. Endemic typhus
3. Scrub typhus
4. Q fever

Correct answer: 3. Scrub typhus

Explanation: Scrub typhus